Moclobemide is:
1. SSRI
2. Antipsychotic drug
3. MAO inhibitor
4. Tricyclic antidepressant

Correct answer: 3. MAO inhibitor